A patient with acute urinary tract infection (UTI) usually presents with:
1. Chills and fever.
2. Flank pain.
3. Nausea and vomiting.
4. Painful urination.

Correct answer: 4. Painful urination.

Explanation: Cystitis or infection of the bladder is the most common UTI. Lower UTI, or cystitis, is an infection in the bladder. Painful urination and frequency are the most common presenting complaints. Hematuria may occur, but is associated with painful urination and frequency. Flank pain, fever, chills, nausea, and vomiting usually occur only when the infection involves the kidney. An acute UTI is identified in unspun urine only when there are more than 10 leukocytes per hpf in the unspun urine. The normal urine may have as many as 10 WBC/per hpf without being infected.